Fatty change in liver is seen with use of -
1. Tetracycline
2. Erythromycin
3. Chlorpromazine
4. Acetoaminophen

Correct answer: 1. Tetracycline